Most common cause of congenital hypothyroidism: (Repeat)
1. Thyroid dysgenesis
2. Maternal antibodies
3. Inborn errors of thyroid hormone defects
4. Maternal iodine deficiency

Correct answer: 1. Thyroid dysgenesis

Explanation: Ans: A (Thyroid dysgenesis) Ref: Nelsons Textbook of Pediatrics. 19th Edition. Pg.1895Explanation:"Most cases of congenital hypothyroidism results from thyroid dysgenesis "(Ref: Nelson)Refer 2013 Pediatrics Question Explanation